Russel traction is used for treatment of fracture shaft femur in which age group
1. <2 years
2. 2-10 years
3. >15 years
4. None

Correct answer: 2. 2-10 years